Cholera like diarrhea is associated with?
1. Copper poisoning
2. Arsenic poisoning
3. Lead poisoning
4. Mercury poisoning

Correct answer: 2. Arsenic poisoning

Explanation: Ans. is 'b' i.e., Arsenic poisoning o Acute arsenic poisoning most commonly resembles bacterial gastroenteritis (e.g. cholera). There is garlic adour with hemorrhagic gastroenteritis and necrosis of intestinal mucosa. There is tenesmus and anal irritation.